Which of the following toxin is responsible for manifestations of puffer fish poisoning?
1. BOAA
2. Tetrodotoxin
3. Strychnine
4. Ciguatoxin

Correct answer: 2. Tetrodotoxin

Explanation: Answer- B. TetrodotoxinThe toxin involved is tetrodotorin.Syrnptoms of pufferfish poisoning include initial tingling, numbness of lips, tongue and fingers. trading to the paralysis of the extremities, ataxia, difficulty in speaking, and finally death by asphpiation sue to respiratory paralysis.